Calcium dobesilate used in treatment of varicose veins because of all except
1. Reduces oedema
2. Improves macrophage mediated proteolysis
3. Improves lymph flow
4. Increases release of MMPs

Correct answer: 4. Increases release of MMPs

Explanation: Increases release of MMPs results in varicose venous ulcer.